A 30-year-old male patient presents with complaints of weakness in right upper and both lower limbs for last 4 months. He developed digital infarcts involving 2nd and 3rd fingers on right side and 5th finger on left side. On examination. BP was 160 140 mm Hg. all peripheral pulses were palpable and there was asymmetrical neuropath). Investigations showed Hb 12 gm%, TLC 12,000 per cu. mm. Platelets 4.30.000 and ESR 49 mm. Urine examination showed Proteinuria and  RBC-10-15 hpf with no casts. What is the most likely diagnosis -
1. Polyarteritis nodosa
2. Systemic lupus erythematosus
3. Wegener's granulomatosis
4. Mixed cryoglobulinemia

Correct answer: 1. Polyarteritis nodosa